A cell cycle specific anticancer drug that acts mainly in the M phase of the cell cycle is
1. Bleomycin
2. Cisplatin
3. Etoposide
4. Paclitaxel

Correct answer: 4. Paclitaxel

Explanation: Paclitaxel The taxanes, paclitaxel and docetaxel, interfere with the separation of chromosomes during mitosis because of their effects on micro tubules.